A 60 year old male patient complains of fever, pale skin, weakness and loss of appetite. Karyotyping findings reveal presence of Ph chromosome. This patient could suffer from any of the following except?
1. Chronic myeloid leukemia
2. Acute myeloid leukemia
3. Adult B cell-ALL
4. Chronic lymphocytic leukemia

Correct answer: 4. Chronic lymphocytic leukemia

Explanation: The BCR-ABL fusion gene is present in granulocytic, erythroid, megakaryocytic, and B cell precursors, and in some cases T cell precursors as well, indicating that the tumor arises from a transformed hematopoietic stem cell. Although the Ph chromosome is highly characteristic of CML. It also is present in 25% of adult B cell–ALLs and a small subset of AMLs. 
NOTE- Ph chromosome=Philadelphia chromosome.
Reference: Robbins Basic Pathology, Kumar, Abbas, Aster, Elsevier, 10th Edition, Page No: 482